All of the following statements regarding Octreotide is TRUE, EXCEPT:
1. It is a somatostatin analogue
2. Used in secretory diarrhea in AIDS
3. Used in carcinoid
4. An absorbent

Correct answer: 4. An absorbent

Explanation: Octreotide is an octapeptide analog of somatostatin. It acts by inhibiting hormone secretion such as 5HT and other GI peptides. Indications: It is effectively used in treating severe secretory diarrhea brought about by hormone-secreting tumors of the pancreas and the GI tract. It is also used off label in the treatment of secretory diarrhea such as chemotherapy-induced diarrhea, diarrhea associated with HIV and diabetes-associated diarrhea. It is also used in dumping syndrome seen in some patients after gastric surgery and pyloroplasty. In this condition, octreotide inhibits the release of hormones that are responsible for distressing local and systemic effects. Ref: Sharkey K.A., Wallace J.L. (2011). Chapter 46. Treatment of Disorders of Bowel Motility and Water Flux; Anti-Emetics; Agents Used in Biliary and Pancreatic Disease. In B.C. Knollmann (Ed), Goodman & Gilman's The Pharmacological Basis of Therapeutics, 12e.